Cherry red color in postmortem staining is a feature of poisoning with:
1. Nitrites
2. Aniline
3. Phosphorus
4. CO

Correct answer: 4. CO

Explanation: Ans. CO